Microscopic Endodontics
1. Increases Neck and back Fatigue
2. Does not help in identification of microfactures in teeth
3. Increase Posture of Operator
4. Does not Aid in the Removal of Diseased Dental Tissue

Correct answer: 3. Increase Posture of Operator